Chemoprophylaxis in an Englishman visiting chloroquine and mefloquine-resistant malaria region is done with :
1. Primaquine
2. Doxycycline
3. Amodiaquine
4. Hydroxychloroquine

Correct answer: 2. Doxycycline